New drug Renolazine is used in -
1. Angina
2. Hypertention
3. Tachycardia
4. Arrhythmia

Correct answer: 1. Angina

Explanation: Ans. is 'a' i.e., Angina o Ranolazine is an effective newer anti-anginal drug but unlike CCBs and beta-blockers it does not significantly alter the heart rate or blood pressure.o Ranolazine alters the trans-cellular late sodium current and affects the sodium dependent calcium channels during myocardial ischaemia thus prevents calcium overload, resulting in reduced oxygen demand, and prevent anginao Ranolazine is useful as add-on therapy in chronic stable angina which is refractory to more standard anti-anginal medication. It has also been approved as first-line agent for chronic angina. However, it is not found to be useful in acute coronary syndrome.o Ranolazine should be used in combination with amlodipine, b-blockers or nitrates. It should not be used as an alternative to b-blocker therapy in patients otherwise eligible for this form of therapyo Ranolazine appears to have other promising non-anginal effects, including glycemic control, improvement in endothelial function and decreases the incidence of atrial fibrillation and other arrhythmiaso Ranolazine may increase the QT interval and hence it should not be used in patients with long- QT syndrome and should be used with caution when combined with other medications that increase the QT intervalo Ranolazine has been generally well tolerated in clinical trials its most common adverse effects are nausea, constipation and dizziness.